A 78-year-old patient presents with an advance cancer in the posterior mediastinum. The surgeons are in a dilemma as to how to manage the condition. Which of the following structures is most likely damaged?
1. Brachiocephalic veins
2. Arch of the azygos vein
3. Trachea
4. Hemiazygos vein

Correct answer: 4. Hemiazygos vein

Explanation: The hemiazygos vein is in the posterior mediastinum. The brachiocephalic veins, trachea, and arch of the aorta are in the superior mediastinum, whereas the arch of the azygos vein is found in the middle mediastinum.